All are true about short saphenous vein except?
1. Runs behind lateral malleolus
2. Runs on lateral side of leg
3. Accompanied by sural nerve
4. Achillis tendon is medial to vein

Correct answer: 2. Runs on lateral side of leg

Explanation: Ans. is 'b' i.e., Runs on lateral side of leg Short saphanous vein runs in the back (posteriorly) of leg (not laterally). Short saphanous vein It is formed by union of the lateral end of the dorsal venous arch with the lateral marginal vein. It enters the back of leg by passing behind the lateral malleolus and is accompanied by sural nerve. In leg it ascends lateral to tendocalcaneous (tendoachillis). Thus tendoachillis is medial to vein. It usually has 7-13 valves. It terminates into the popliteal vein. It is connected with peroneal vein through the lateral ankle perforators.